The father of joint replacement surgery is ?
1. Manning
2. Girdlestone
3. Charnley
4. Ponseti

Correct answer: 3. Charnley

Explanation: Ans. is 'c' i.e., Charnley Father of the modern hip replacement: Professor Sir John Charnley (1911-82). Professor Sir John Charnley was a British orthopaedic surgeon, inventor and skilled craftsman. He is best known for his development of the first truly successful operation for total arthroplasty of the hip, the low-friction arthroplasty. As well as publishing significant works on closed fracture management and compression arthrodesis, he can also be accredited with pioneering work in the development of clean-air operating conditions and body-exhaust suits.